Killian's Dehiscence is seen at the level of:
1. Superior Constrictor
2. Middle constrictor
3. Inferior Constrictor
4. Thyroepiglottis

Correct answer: 3. Inferior Constrictor

Explanation: Killian dehiscence also known as "Gateway of tears'' M/C site for esophageal tear (perforation) In posterior pharyngeal wall the inferior constrictor muscle is divide into two part thyropharyngeus and cricopharyngeus. Thyropharyngeus has oblique fibers Cricopharyngeus has Transverse fibers. And that creates a triangular space. This is anatomical week space is known as Killian dehiscence.